Sitaram a 40-year old man, met with an accident and comes to emergency department with engorged neck veins, pallor, rapid pulse and chest pain Diagnosis is ?
1. Pulmonary Laceration
2. Cardiac tamponade
3. Hemothorax
4. Splenic rupture

Correct answer: 2. Cardiac tamponade

Explanation: Ans is 'b' ie Cardiac Tamponade Road traffic accident can lead to all 4 condition but only cardiac tamponade can present the given signs & symptom. Cardiac Tamponade - It is accumulation of fluid in the pericardium in an amount sufficient to cause serious obstruction to the inflow of blood to the ventricles. Etiology: 3 most common causes are: - Neoplastic ds* - Idiopathic pericarditis* - Uremia* other causes include : Trauma, Cardiac operation, Tuberculosis The three principal feature of tamponade are elevation of intra cardiac pressures, limitation of ventricular filling and reduction of cardiac output. Clinical symptoms of tamponade Falling arterial pressure Pallor, rapid pulse Rising venous pressure Engorged neck veins Faint heart sounds Pulsus Paradoxus is an important clue to tamponade